Rheumatoid factor in Rheumatoid arthritis is:
1. IgG
2. IgM
3. IgA
4. IgD

Correct answer: 2. IgM

Explanation: Answer is B (IgM): Rheumatoid arthritis is an IgM antibody directed against the Fe fragment of IgG.